In a firearm injury, there is burning, blacking, tattooing around the wound, along with cherry red colour of the surrounding tissues and is cruciate in shape, the injury is -
1. Close shot entry
2. Close contact exit
3. Contact shot entry
4. Distant shot entry

Correct answer: 3. Contact shot entry

Explanation: the synopsis of forensic medicine & toxicology ;Dr k.s narayan reddy ; 28th edition ;pg.no 130 The description of the above injury matches that of a contact shot .